Biceps brachi is supplied by
1. Radial nerve
2. Median nerve
3. Musculocutaneous nerve
4. Axillary nerve

Correct answer: 3. Musculocutaneous nerve

Explanation: Root value of musculocutaneous nerve is C5, C6.It arises from the lateral cord of brachial plexus.B D Chaurasia 7th edition Page no : 57